Greater risk of transformation into carcinoma is seen in:
1. Prepyloric ulcer
2. Intestinal hyperplasia
3. Intestinal metaplasia
4. Intestinal hypertrophy

Correct answer: 3. Intestinal metaplasia

Explanation: Ans. C: Intestinal metaplasia Intestinal metaplasia is the transformation (metaplasia) of epithelium, usually of the stomach, to a type that bears some resemblance to the intestine. Initially, the transformed epithelium bears resemblance to the small intestine; in the later stages, the epithelium resembles the colon. It is characterized by the appearance of goblet cells It is considered to be a risk factor for the development of adenocarcinoma